A child presenting with high fever and hoarseness of voice is found to have retropharyngeal abscess. All of the following statements are true about acute retropharyngeal abscess, EXCEPT:
1. It is usually restricted to one side of the midline
2. Infection is posterior to the prevertebral fascia
3. Causes difficulty in deglutition and respiration
4. Can be easily palpated by placing a finger tip on the posterior pharyngeal wall

Correct answer: 2. Infection is posterior to the prevertebral fascia

Explanation: Clinical features of retropharyngeal abscess: Usually occurs in infants and young children, typically aged between 2 and 6 years. Infection of the upper respiratory tract leads to pyogenic adenitis of the retropharyngeal lymph nodes. The resulting abscess is limited to one side of the midline by a median raphe and anterior to the prevertebral fascia. A sore throat with dysphagia or odynophagia (including for saliva) will be present along with high pyrexia. Palpation of the posterior pharyngeal wall may confirm the diagnosis of a retropharyngeal abscess.